Conversion of T4 to T3 inhibition is associated with:
1. Propylthiouracil
2. Ampicillin
3. Lithium
4. Carbimazole

Correct answer: 1. Propylthiouracil